For the yellow fever control, distance around airport to be kept free of Aedes breeding is
1. 200m
2. 250m
3. 400m
4. 450m

Correct answer: 3. 400m